CD - 95 is a marker of -
1. Death receptor
2. MHC complex
3. T helper cells
4. NK cells

Correct answer: 1. Death receptor

Explanation: Robbins basic pathology 6th edition. Chapter 1-cell injury. CD 95 is a marker of cell death. Fas or FasR, also known as apoptosis antigen 1 (APO-1 or APT), cluster of differentiation 95 (CD95) or tumor necrosis factor receptor superfamily member 6 (TNFRSF6) is a protein that in humans is encoded by the FAS gene.